Hooding of eyes is seen in which fracture
1. Le Fort 1
2. Le Fort 2
3. Le Fort 3
4. Nasal bone

Correct answer: 3. Le Fort 3